Kupffers cells in liver are
1. Macrophages
2. Lymphocytic
3. Complimentary proteins
4. Coagulation proteins

Correct answer: 1. Macrophages

Explanation: A. i.e. (Macrophages) (54- Basic pathology 8th)Kupffer cells belonging to the reticuloendothelial systemsMarophages the dominant cells of chronic inflammation, are tissue cells derived from circulating blood monocytes, macrophages also found in(i) Liver - Kupffer cells(ii) Spleen and lymph node - Sinus histiocytes(iii) CNS - Microglial cells(iv) Lungs - Alveolar macrophages* The half life of circulating monocytes is about 1 day* Mean life of RBC's in transfused blood is - 80 days*** Langerhans cels are antigen presenting in nature*** Epitheloid cells and granular giant cells are formed by Monocyte - macrophages*** Antigen presenting cells are - Langerhan's cells Dendritic cells, B. cells, Macrophages